Patient who had an road traffic accident presents with presents with loss of consciousness. CT shows multiple spotty hemorrhages and full basal cisterns
1. Brain contusion
2. Diffuse axonal injury
3. Subdural hematoma
4. Multiple infarcts

Correct answer: 2. Diffuse axonal injury

Explanation: Ans. Diffuse axonal injury